Cheilography is the study of -
1. Finger prints
2. Lip prints
3. Breath analysis
4. Foot prints

Correct answer: 2. Lip prints

Explanation: Ans. is 'b' i.e., Lip printso Cheiloscopy or queiloscopy is the study of lip prints.o Podogram is the study offootprints which are due to ridge on the sole and toes of the foot.o Palato prints (rugoscopy) is the study of anterior part of palate.o Dactylography Dermatoglyphics/Galton system- is the study of Finger prints. Finger print pattern is absolutely individual i.e. no two hands are entirely alike, not even identical twins. That's why, it is best (most sensitive and most specific) and most reliable method of identification (Quetelet's rule of biological variation).